Arteria pancreatic magna is a branch of which artery ?
1. Left gastric
2. Right gastric
3. Common hepatic
4. Splenic

Correct answer: 4. Splenic

Explanation: Ans. is 'd' i.e., Splenic Branches of coeliac trunkThe coeliac trunk is only about 1.25 cm long and it ends by divided into its three terminal branches :?1) Left gastric artery :- It is the smallest branch of coeliac trunk. It ends by anastomosing with right gastric artery. It gives off :a) Two or three esophageal branches.b) Number of gastric branches.2) Common hepatic artery :- It runs to the right behind lesser sac and enters the free right border of lesser omentum and then run upwards as proper hepatic artery, in front of portal vein and to the left of bile duct. After reaching the porta hepatis it terminates by dividing into right and left hepatic branches. It gives of following branches :a) Gastroduodenal artery :- It terminates by dividing into right gastroepiploic artery and superior pancreaticoduodenal artery.b) Right gastric artery.c) Cystic artery :- It is a branch of right hepatic artery.3) Splenic artery :- It is the largest branch of coeliac trunk. It runs horizontally to the left along upper border of pancreas and has tortuous course. It crosses left suprarenal gland and left kidney to enter the linorenal ligament through which it reaches the hilum of spleen where it divides into 5-7 splenic (hilar) branches. It gives off :a) Numerous pancreatic brnaches :- These supply body and tail of pancreas. One of the pancreatic branches is large and is called arteria pancreatic magna. Another large branch is called arteria caudae pancreatis.b) Short gastric anteries :- Run in gastrosplenic ligament and supply the fundus of stomach.c) Left gastroepiploic artery :- It anastomoses with right gastroepiploic artery and supplies stomach and greater omentum.d) Posterior gastric artery :- It is an inconsistent branch and supplies posterior body and fundus of stomach.